Cell type that lacks HLA antigen is:
1. Monocyte
2. Thrombocyte
3. Neutrophil
4. Red blood cell

Correct answer: 4. Red blood cell

Explanation: Class I MHC is expressed on all nucleated cells and platelets Class II MHC is expressed on APCs (macrophages, monocytes and dendritic cells), B- cells, Endothelial cells, and fibroblasts.